Investigation of choice for diagnosis of Epilepsy is
1. EEG
2. CT scan
3. MRI
4. CSF investigations

Correct answer: 1. EEG

Explanation: All patients who have a possible seizure disorder should be evaluated with an EEG as soon as possible. The EEG is most useful in evaluating patients with suspected epilepsy. The presence of electrographic seizure activity - i.e., abnormal, repetitive, rhythmic activity having an abrupt onset and termination and a characteristic evolution - clearly establishes the diagnosis.